Which of the following sites is responsible for the amnestic defect in Wernicke's Korsakoff -syndrome
1. Mamillary body
2. Thalamus
3. Subthalmic nucleus
4. Medical fore brain bundle

Correct answer: 2. Thalamus

Explanation: Harrison's principles of internal medicine 17th edition. *The amnestic defect is related to lesions of dorsal medial nuclei of thalamus